Le Fort's operation is done is
1. Elderly menopausal patients with advanced prolase
2. Young woman suffering from second or third degree prolapse
3. Women under 40 years who are desirous of retaining their menstrual and reproduction function
4. Women over 40 years, those who have completed their families

Correct answer: 1. Elderly menopausal patients with advanced prolase

Explanation: (Elderly menopausal patients with advanced prolapse) (329-S) (307-S14th)Operative treatment of ProlapseAnterior colporrhaphyOperation is performed to repair a cystocele and cystourethrocelePosterior-colporrhaphy and colpoperineorrhaphyOperation is done to correct a rectocele and repair a deficient perineumFothergill's repair (Manchester operation)In this operation, the surgeon combines an anterior colporrhaphy with amputation of cervix* It is suitable for women under 40 years who are desirous of retaining their menstrual and preporductive functionsVaginal hysterectomy with pelvic floor repairThis operation is suitable for women over the age of 40 years, those who have completed their families and are no longer keen on retaining their childbearing and menstrual functionsLe Fort's repairOperation is reserved for the very elderly menopausal patient with an advanced prolapse or for those women who are poor medical risks and are considered unfit for any major surgical procedureAbdominal sling operationsI) AbdominocervicopexyII) Shirodkar's abdominal sling- operationIII) Khanna's abdominal sling operation* This operation is designed for young women suffering from second or third degree uterovaginal prolapse